All of the following are true about aortic aneurism except
1. Saccular aneurism involves whole circumference
2. True aneurism involves all 3 layers
3. Atherosclerosis is the commonest cause
4. False aneurism is not covered by all 3 layers

Correct answer: 1. Saccular aneurism involves whole circumference